In tumor lysis syndrome following electrolyte abnormalities are seen:
1. Hyperuricemia, Hyperphosphatemia, Hyperkalemia
2. Hypocalcemia, Hypokalemia, Hyponatremia
3. Hypercalcemia, Hyperkalemia, Hyperphosphatemia
4. Hypophosphatemia, Hypokalemia, Hypocalcemia

Correct answer: 1. Hyperuricemia, Hyperphosphatemia, Hyperkalemia

Explanation: Tumor Lysis Syndrome:Tumor with very high rate of growth- during chemotherapy there will be rapid destruction of the cells that will lead to Tumor Lysis Syndrome. It releases: K+-Hyperkalemia PO42-Hyperphosphatemia Hypocalcemia:Ca2+sequestration by PO42. Hyperuricemia:Nucleic Acid Break down. | can lead to AKI Can prevent/ Tx with aggressive hydration, alopurinol and rasburicase. Common tumors associated with Tumor lysis syndrome - ALL, Burkitt's Lymphoma.